Culture mediam for corynebacterium diphtheria?
1. Loefflers serum slope
2. McConkey
3. Saburauds agar
4. Lowenstein Jensen medium

Correct answer: 1. Loefflers serum slope

Explanation: Ans. is 'a' i.e., Loefflers serum slope